Opiate withdrawl is treated with
1. CPZ
2. Nalorphine
3. Pethidine
4. Methadone

Correct answer: 4. Methadone

Explanation: D i.e. Methadone